Most common cause aof ambigious genitalia in a female child is :
1. Placenta steriod sulfatase deficiency
2. Fetal aromatase deficiency
3. Wnt4 mutation
4. Congenital adrenal hyperplasia

Correct answer: 4. Congenital adrenal hyperplasia

Explanation: CONGENITAL ADRENAL HYPERPLASIA Clinical presentation: Ambiguity of sex detected at birth are due to androgenital syndrome unless proved otherwise. Hirsutism and amenorrhea may be presenting features around puberty in milder form. Diagnosis at birth An enlarged clitoris Presence of penile urethra or hypospadias Hyponatremia,hypokalemia and hypotension Fusion of labia minora Ref: D.C.DUTTA'S TEXTBOOK OF GYNAECOLOGY,6th edition; Pg no:440 other causes include female psuedohermaphroditism,mixed gonadal dysgenesis, male psudeohermaphroditism and rarely true hermaphroditism page 54 ,16th edition shaw's textbook of gynaecology